Kleihaeur Bethke test is done for:
1. Cephalopelvic disproportion
2. Fetomaternal hemorrhage
3. Determining karyotype of normal fetus
4. Diagnosing fetal infections

Correct answer: 2. Fetomaternal hemorrhage

Explanation: b. Fetomaternal hemorrhage(Ref: Nelson's 20/e p 2335, Ghai 8/e p 340)A common approach to evaluating Fetomaternal Hemorrhage (FMH) is the rosette test to screen for the presence of fetal cells followed by the Kleihauer-Betke acid elution method to quantify the magnitude of feto-maternal bleed.